Function of Ig A is -
1. Acts as a mucosal barrier for infection
2. Circulating antibody
3. Kills virus infected cells
4. Activates macrophages

Correct answer: 1. Acts as a mucosal barrier for infection

Explanation: Question repeated